ABC (Aneurysmal Bone cyst ) has striking radiographic resemblance with:
1. CGCG
2. PCD
3. Dentigerous cyst
4. Fibrous dysplasia

Correct answer: 1. CGCG

Explanation: INTERNAL STRUCTURE OF ABC:
Small initial lesions may show no evidence of an internal structure. Larger lesions, however, develop internal areas of mineralization that bear a striking resemblance to CGCG lesions. These wispy, sometimes granular-appearing striations or septa represent new bone formed by the lesion rather than residual bone, and may give the ABC, a multilocular type of appearance.